This is an interventricular foramen through which lateral ventricles open into 3rd ventricle:
1. Foramen monro.
2. Foramen of magendi.
3. Foramen of luschka.
4. Foramen caecum.

Correct answer: 1. Foramen monro.